Cereals are deficient in:
1. Tryptophan
2. Threonine
3. Lysine
4. Methionine

Correct answer: 3. Lysine

Explanation: Lysine